The term “Battered Child Syndrome” is coined by?
1. Caffey
2. Henry Kempe
3. Mary Ellen
4. None of the above

Correct answer: 2. Henry Kempe

Explanation: Henry Kempe coined the term battered child syndrome in his milestone article in 1962.